A newborn with a heart rate of 110, has been crying vigorously. The baby has got good muscle tone with active movements. She has got good respiratory effort and rate. The body of the baby is pink in colour but the extremities are blue. What is the APGAR score of the child?
1. 7
2. 8
3. 9
4. 10

Correct answer: 3. 9

Explanation: The highest possible score is 10. Here the baby has got a score of 9 because it gets only one point for colour. To get 2 points the entire body should have been pink. Ref: Mudaliar and Menon's Clinical Obstetrics, 9th Edition, Page 378.